Least common complication of fibroid is:
1. Menstrual disorder
2. Malignancy
3. Urinary retention
4. Degeneration

Correct answer: 2. Malignancy

Explanation: Ans. is b, i.e. MalignancyRef: Shaw 15th/ed p353-5; Jeffcoate 7th/ed p500-2* Sarcomatous change is seen in 0.2-0.5% of fibroids. It is the least common complication of fibroid.* Sarcomas with malignant behavior have >=10 mitoses/high power field.* M/c fibroid to undergo malignancy is Submucous followed by Intramural. - Ref: Textbook of Gynae Sheila Balakrishnan 1st/ed p163